Best radiographic view for fracture C1, C2 vertebra is
1. AP view
2. Odontoid view
3. Lateral view
4. Oblique view

Correct answer: 2. Odontoid view

Explanation: (Ref: Radiology Review ManualBy Wolfgang Dahnert 6thEtd, Page no:183)